Calcium channel blocker with maximum effect on conduction in the heart is:
1. Nifedipine.
2. Verapamil.
3. Diltiazem.
4. Phenylamine.

Correct answer: 2. Verapamil.